Which of the following tumors arise from epiphysis
1. Ewing's sarcoma
2. Osteoclastoma (GCT)
3. Chendromyxoid fibroma
4. Osteosarcoma

Correct answer: 2. Osteoclastoma (GCT)

Explanation: Ans. is 'b' i.e. Osteoclastoma * Chondroblastoma and giant cell tumor are located in the epiphysis. Chondroblastoma is a rare tumor seen in children and adolescents with open growth plates. GCT involves epiphysis in skeletally mature individuals with closed growth plates. GCT often shows metaphyseal extension. Sites of origin of Primary bone neoplasm Epiphysis Metaphysis Diaphysis Chondroblastoma Giant cell tumor Osteosarcoma Chondroma Chondrosarcoma Osteoid osteoma Osteochondroma Brodie's abscess (not a tumor) Ewing's sarcoma Lymphoma Myeloma Adamantinoma Osteoid osteoma Giant Cell Tumor (MRI scan shows a giant cell tumor at the upper end of the shinbone.) Osteoid osteoma is more common in diaphysis (Maheshwari 3/e, p 215) OBSTETRICS AND GYNAECOLOGY